The first evidence of calcification of primary anterior teeth begins approximately between:
1. 14 to 17 weeks in utero
2. 9 to 12 weeks in utero
3. 6 to 9 weeks in utero
4. 17 to 20 weeks in utero

Correct answer: 1. 14 to 17 weeks in utero